A 4 year old child with one tooth less than the normal dentition shows a large tooth with two crowns and two root canals, the anomaly is :
1. Dilaceration
2. Fusion
3. Gemination
4. Concrescence

Correct answer: 2. Fusion